In a child which disease is misdiagnosed as appendicitis?
1. Gastroentritis
2. Lymphadenitis
3. Intussusception
4. All of the above

Correct answer: 4. All of the above

Explanation: Gastroenteritis Differential diagnosis of acute appendicitis Mesenteric adenitis Meckel's diverticulitis Intussusception Henoch-Schonlein purpura Lobar pneumonia Ref: Bailey & Love's Short Practice of Surgery,E25,Page-1209